Hemolytic anemia may be characterized by all except
1. Hyperbilirubinemia
2. Reticulocytosis
3. Hemoglobinuria
4. Increased plasma haptoglobin level

Correct answer: 4. Increased plasma haptoglobin level

Explanation: In hemolytic anemia due to increased red cell destruction - unconjugated bilirubin is raised; serum haptoglobin(alpha globulin binding protein) is reduced or absent; evidence of intravascular hemolysis in the form of hemoglobinuria.

As a result of increased red cell production ,reticulocytosis will be present.

Reference :Harsh mohan textbook of pathology sixth edition pg no 311